Degloving injury involve:
1. Avulsion of subcutaneous layer with fat
2. Erosion of skin with muscle
3. Peeling of the skin
4. d. Necrosis of muscle

Correct answer: 3. Peeling of the skin

Explanation: Ans. (c) Peeling of the skinRef: The Essentials ofFSM by K.S. Narayan Reddy 31st ed. / 296-98; Internet sourceAn injury most commonly to an extremity or digit in which the skin and subcutaneous tissue are separated from the deeper tissue layers thereby depleting its blood supply and increasing the risk of tissue necrosis.